All are used for AIDS except-
1. Fanciclovir
2. Ritonavir
3. Stavudine
4. Indinavir

Correct answer: 1. Fanciclovir